Brittle bone disease is ?
1. Osteogenesis imperfecta
2. Osteopetrosis
3. Pagets disease
4. Osteoporosis

Correct answer: 1. Osteogenesis imperfecta

Explanation: Ans. A:Osteogenesis imperfecta Osteopetrosis is also known as Marble bone disease or Albers-Schonberg disease. Paget's disease is known as Osteitis deformans. Osteogenesis imperfecta is known as Brittle bone disease. Osteoporosis is known as Fragile bone disease.